Function of Stapedius is:
1. Protects the ear from loud frequency sound
2. Helps in hearing sounds of low frequency
3. Helps in hearing sounds of high frequency
4. Helps in hearing whispered words

Correct answer: 1. Protects the ear from loud frequency sound

Explanation: Protects the ear from loud frequency sound